Adult size of the cornea is attained by the age of:
1. 2 years
2. 3 years
3. 5 years
4. 9 years

Correct answer: 1. 2 years

Explanation: Ans. 2 years